Which of the following increase the speed of induction with an inhalational agent ?
1. Opiate pre–medication
2. Increased alveolar ventilation
3. Increased cardiac output
4. Reduced FIO2

Correct answer: 2. Increased alveolar ventilation